which of the following is used to remove broken instruments in root canal:
1. Masserman kit
2. Peizoelectric kit
3. Magnetorestrictive kit
4. Rhodes kit

Correct answer: 1. Masserman kit

Explanation: Masserman kit or endoextractor kit is used for removal of broken instruments in root canals (MAN -98, KAR -03)